Incised looking lacerated wounds are seen in:
1. Hand
2. Thorax
3. Abdomen
4. Forehead

Correct answer: 4. Forehead

Explanation: Ans: D (Forehead) Ref: The Essentials of Forensic Medicine and Toxicology by KS Narayan Reddy. 29th edition. 2010. Pg: 171Explanation:Incised- like or Incised- looking woundsLacerations produced without excessive skin crushing may have relatively sharp marginsBlunt force on areas where the skin is close to bone, and the subcutaneous tissues are scantyProduces a wound which by linear splitting of the tissues, may look like a incised woundThe sites are:Scalp & ForeheadEyebrowsCheek bonesLower jawIliac crestPerineumShin